In malaria, sexual cycle is -
1. Sporozoites to gametocytes
2. Gametocytes to sporozoites
3. Occurs in human
4. Responsible for relapse

Correct answer: 2. Gametocytes to sporozoites

Explanation: 1. Female Anopheline mosquito represents the definitive host (Intermediate host- Man), in which sexual forms male and female gametocytes are transferred from human host during blood meal. 2. Sexual cycle (Sporogony): Begins when gametocytes infect the female anopheles mosquito and then transform to gametes - zygote - ookinete - oocyst - sporozoites